Ford foundation established by
1. National institute of health administration
2. National institute of virology
3. All India institute of hygiene and public health
4. RHC at AIIMS

Correct answer: 1. National institute of health administration

Explanation: Ford Foundation has supported the establishment of NIHAE (National Institute of Health Administration and Education) at Delhi. The institute provides a senior staff, college type training for health administrators.Park 23e pg: 924